Which is the most common cell involved in non-functioning pituitary adenoma?
1. Gonadotropin producing cell
2. Prolactin producing cell
3. GH producing cell
4. TSH producing cell

Correct answer: 1. Gonadotropin producing cell

Explanation: A majority of pituitary adenomas are clinically non-functioning and produce no distinct clinical hyper-secretory syndrome. Some of them arise from gonadotrope cells and may secrete intact circulating gonadotropins. most common cell involved in Non-functioning pituitary adenoma is Gonadotropin producing cell. The most common Secretory adenoma is Prolactinoma. The least common secretory adenoma is TSH secreting tumor.